Which of the following conditions may cause Anhydrosis of the homolateral side of the face:
1. Cervical sympathetic paralysis
2. Facial nerve trauma
3. Trigeminal nerve trauma
4. Cerebral embolus

Correct answer: 1. Cervical sympathetic paralysis